All of the following procedure can be done under EMLA cream except-
1. Split thickness skin - graft harvesting
2. Laser removal of port wine stain
3. Lithotripsy
4. Intubation

Correct answer: 4. Intubation

Explanation: It is a cream preparation of local anesthetic providing dermal analgesia. Intubation cannot be done under EMLA it requires general anesthetics. EMLA cream - Eubetic mixture of local anesthetics It is a cream which consists of 1:1 Mixture of 2.5 % Lidocaine and 2.5% prilocaine Contact time required = 60 minutes Depth of Penetration = 3-5 mm. Duration of Analgesia = 1-2 hour The amount of drug absorbed depends on application time, dermal blood flow, keratin thickness and total dose administered. c/I of application of EMLA - 1. Mucous membrane 2. Broken skin 3. < 1 month Uses - laser removal of po wine stains Lithotripsy Circumcision Venous emulation Skin graft harvesting